Volume of ECF in body is
1. 0.1 × body weight
2. 0.2 × body weight
3. 0.3 × body weight
4. 0.4 × body weight

Correct answer: 2. 0.2 × body weight

Explanation: Total body weight = 0.6 × body weight
ICF = 0.4 × body weight
ECF = 0.2 × body weight
Plasma = 0.05 × body weight
Interstitial fluid = 0.15 × body weight